The term " Good Faith" refers to - irrelevant- add in forensic medicine
1. 44 IPC
2. 46 IPC
3. 51 IPC
4. 52 IPC

Correct answer: 4. 52 IPC

Explanation: Good faith has not been defined in the Indian penal code in positive terms. Section 52 of the code gives only a negative definition by saying that "nothing is said to be done or delivered in "good faith" which is done or delivered without due care and attention ref : narayana reddy forensic medicine and toxicology